Right kidneys anterior, relation : all are devoid of peritoneum, except -
1. Duodenum
2. Supra renal gland
3. Colon
4. Liver

Correct answer: 4. Liver

Explanation: Anterior relation of the right kidney
-        Right suprarenal gland
-        Liver
-        The second part of the duodenum
-        Hepatic flexure of the colon
-        Small intestine
 
Anterior relation of the left kidney
-        Left suprarenal gland
-        Spleen
-        Stomach
-        Pancreas
-        Splenic vessels
-        Splenic flexure and descending colon